Imaging of choice for parathyroid pathology is
1. CT scan
2. Gallium scan
3. Thallium scan
4. Tc 99 scan

Correct answer: 4. Tc 99 scan

Explanation: The primary purpose of imaging is to accurately localize the disease gland and identify patients who are suitable for minimal invasive surgery (solitary adenoma). Sonography and 99mTc-sestamibi scintigraphy are the dominant imaging techniques for the preoperative location of parathyroidpathalogies . Ref - harrisons internal medicine 20e topic parathyroid adenoma